Abbey's flap is used for reconstruction of -
1. Breast repair
2. Upper lip repair
3. Cheek repair
4. Nose repair

Correct answer: 2. Upper lip repair